Diagnostic sign of a fracture:
1. Abnormal mobility at fracture site
2. Pain at the fracture site
3. Tenderness
4. Swelling

Correct answer: 1. Abnormal mobility at fracture site

Explanation: Tenderness is the commonest (consistent) sign of fracture. Abnormal mobility and loss of transmitted movements is surest sign of fracture Crepitus occurs because of rubbing of both fracture ends together and gives sense of friction between fractured ends, it should not be elicited as it may cause neurogenic shock or may cause comminution at fracture ends due to rubbing of bone ends.